The Waldeyer's group of lymph nodes do not include:
1. Submandibular lymph nodes
2. Tonsils
3. Lingual tonsils
4. Adenoids

Correct answer: 1. Submandibular lymph nodes

Explanation: (a) Submandibular lymph nodes(Ref. Scott Brown, Vol 3; 741)Waldeyer's ring componentsAlso calledLocationAdenoidsLushka's or nasopharyngeal tonsilNasopharynx (in the midline at the junction of the roof and posterior wall)Tubal tonsilsGerlach's tonsilsNasopharynx (on the lateral wall behind the Eustachian tube opening)PalatineFaucial tonsilsOropharynx (in between the anterior and posterior pillars)Lingual tonsils-Posterior 1/3rd , i.e. base of tongueLateral pharyngeal bands and nodules-Posterior pharyngeal wall